All of the following tests must be done before initiating treatment of M. Gravis, except?
1. CT Chest
2. Pulmonary function test
3. CRP
4. TSH

Correct answer: 3. CRP

Explanation: Generalised M. Gravis is associated with Thymic hyperplasia or Thymoma. CT chest is recommended. Baseline PFT will help in case of development of Myasthenia Crisis by the patient Since thyroid abnormalities like Hashimoto's thyroiditis is associated with M. Gravis, TSH is performed. Recommended laboratory test or procedures CT or MRI of chest Test for lupus erythematosus, antinuclear antibody, rheumatoid factor, antithyroid antibodies Pulmonary function test Thyroid function test Fasting blood glucose, hemoglobin A1 PPD skin tests Bone densitometry